Saline infusion sonography is also called?
1. Sonohysterography
2. Sonosalpingography
3. Hysterosalpingography
4. None of the above

Correct answer: 1. Sonohysterography

Explanation: Ans. is 'a' i.e.,SonohysterographySaline Infusion SonographyIt is also called Sonohysteorgraphy.In this procedure sterile saline is instilled into the uterine cavity before ultrasound evaluation for more precise visualization of the endometrial structures.It is often used as second step in the evaluation of abnormal uterine bleeding.It is particularly useful when ultrasonography suggests a focal lesion, when endometrial biopsy is nondiagnostic, or when abnormal bleeding persists despite normal initial work up.